All are premalignant except -
1. Arsenic poisoning
2. Zn deficiency
3. Utraviolent radiation exposure
4. Bowens disease

Correct answer: 2. Zn deficiency